Which of the following drug is implicated in the causation of osteomalacia of the bone?
1. Phenytoin
2. Steroids
3. Heparin
4. Estrogen

Correct answer: 1. Phenytoin

Explanation: Phenytoin inhibit the hepatic production of 25 hydroxy vitamin D and also directly inhibit bone mineralization and thus may result in osteomalacia. Steroids and heparin result in osteoporosis not osteomalacia. Important drugs causing osteomalacia are: Phenytoi Carbamazepine Valproate Phenobarbitone Bisphosphonates